Method used for acid fast staining ?
1. Robertson's method
2. Ziehl Neelsen
3. Silver imprignation method
4. Dark ground illumination

Correct answer: 2. Ziehl Neelsen

Explanation: Ans. is 'b' i.e., Ziehl Neelsen Acid fast staining After staining with aniline dye, acid fast organisms resist decolourisation with acids. Method most commonly used is modified Ziehl Neelsen.